Derivative of ultimobranchial body
1. Thyroid
2. Capsule of thyroid
3. Parafollicular 'C' cells
4. 2nd branchial pouch

Correct answer: 3. Parafollicular 'C' cells

Explanation: PHARYNGEAL POUCH DEVELOPS INTO 1st Tympanic cavity and eustachian tube 2nd Tonsillar epithelium 3rd Ventrally: thymus Dorsally: inferior parathyroid 4th Superior parathyroid 5th Ultimobranchial body The ultimobranchial body will be found attached to pharyngeal pouch 4. It receives some neural crest cells which will form the parafollicular C cell of thyroid gland; which help in the production of hormone calcitonin.